Infective endocarditis is not seen in one of the following condition :
1. PDA
2. ASD
3. TOF
4. VSD

Correct answer: 2. ASD

Explanation: Ans. is 'b' Atrial Septal defect .Repeat